According to sustainable development Goal 3- "Ensure healthy life and promote well being for all at ages", Target 3.1 is to reduce maternal mortality ratio by 2030 is less than
1. 100
2. 50
3. 90
4. 70

Correct answer: 4. 70

Explanation: By 2030, reduce the global maternal mortality ratio to less than 70 per 100,000 live births. Indicators for this are- Maternal deaths per 100,000 live births Proportion of births attended by skilled health personnel. It comprises of 17 Sustainable Development Goals (SDGs) . Health is centrally positioned within the 2030 Agenda, with one comprehensive goal - SDG 3 : Ensure healthy lives and promote well-being for all ages. Goal 3 includes 13 targets covering all major health priorities